Which of the following can invade the IVC?
1. Renal cell carcinoma
2. Breast cancer
3. Bladder cancer
4. Head of pancreas cancer

Correct answer: 1. Renal cell carcinoma

Explanation: Ans. (a) Renal cell cancerRef. Campbell-Walsh Urology, 11th Edition, Pages 1337-38* Renal Cell Cancer invade the IVC and best evaluated by MRI